True regarding endothelium of cornea:-
1. It has three layer of cells
2. It regenerates within 72 hours
3. It is responsible for maintaining dehydrated state of cornea
4. Endothelial cells increase with ageing & any intraocular surgery.

Correct answer: 3. It is responsible for maintaining dehydrated state of cornea

Explanation: ENDOTHELIUM *Single layer of cells *Powerhouse of kitchen of the cornea *Responsible for maintaining dehydrated state of cornea *Endothelial cells decrease with ageing & any intraocular surgery. *Normal specular count-2500-3500/ mm3. *The normal endothelium is usually made up of hexagonal, regular, cells which are roughly uniform in shape.